MIRENA is
1. Progesterone IUCD
2. Hormonal implant
3. Anti progesterone
4. Used for MTP

Correct answer: 1. Progesterone IUCD

Explanation: Ans. is 'a' i.e. Progesterone IUCD MIRENA is an intrauterine device.There are two types of IUD'sChemically inert IUD's - They are composed of a nonabsorbable material, most often polyethylene and impregnated with barium sulfate for radiopacity.Chemically active IUD's * They either haveContinuous elution of copper orProgestational agent.At present time only chemically active IUD's are available.MIRENA is a progesterone containing IUDThe progesterone agent present in it is levonorgestrel.MIRENA releases levonorgestrel into the uterus at a relatively constant rate of 20 mg/day.It works by causing endometrial atrophy.Other beneficial effect:The MIRENA device reduces menstrual blood loss and can even be used to treat menorrhagia.